Basanti devi 45 yrs old women presents with hot flushes after stopping of menstruation. 'Hot Flush' can be relieved by administration of following agents :
1. Ethinyl estradiol
2. Testosterone
3. Fluoxymesteron
4. Danazol

Correct answer: 1. Ethinyl estradiol

Explanation: Ans. is a i.e Ethinyl estradiol Hot Flushes : They are the 'hallmark' of menopause. Hot flushes are described as recurrent transient period of flushing, sweating and a sensation of heat often accompanied by palpitations. feelings of anxiety. and sometimes followed by chills. The entire episode lasts no more than 1-3 minutes and recurs 5-10 times / day (can occur upto 30 times a day). Short term estrogen therapy results in resolution of hot flushes. Hormone therapy Estrogen therapydeg (most effective) Combined estrogen and progestin therapydeg Progestin therapydeg (to be given in those women in whom estrogen is contraindicated) Tibolonedeg Non hormonal prescription medicines :Not FDA approved Clonidinedeg Selective serotonin reuptake inhibitor : paroxetine, fluoxetine Serotonin and nor epinephrinedeg reuptake inhibitor : venlafaxinedeg Dopamine antagonist : Veralipridedeg Gabapentindeg Bellergal (combination of ergotamines, phenobarbital and belladona, approved for the treatment of migrain).deg) Meazapine Trazodone Non prescription medicines : Isoflavones (100 mg/day)deg Soy products (60 g/d)deg Vitamin E (800 IU/day)deg Life style changes : Reducing body temperaturedeg Maintaining a healthy weightdeg Smoking cessationdeg Paced respirationdeg Options for the treatment of Vasomotor symptoms